Subcostal nerve is:
1. Dorsal ramus of T6
2. Ventral ramus of T6
3. Dorsal ramus of T12
4. Ventral ramus of T12

Correct answer: 4. Ventral ramus of T12

Explanation: Subcostal nerve is ventral ramus of T12. It supplies the transversus abdominis, rectus abdominis, and the pyramidalis, along with some fibers to the peritoneum. Nerve blocks of these nerves are undertaken to help aid both intraoperative and postoperative analgesia With the close relations of the subcostal nerve to the anterior superior iliac spine, it can be at risk from damage during autologous bone harvesting from the iliac crest. Trocar placement in the superolateral quadrant for laparoscopic access to the abdomen can result in damage to the subcostal nerve or the ventral rami of the lower thoracic nerves.